Percutaneous vertebroplasty is not done for:
1. TB
2. Osteoporosis
3. Hemangioma
4. Metastasis

Correct answer: 1. TB

Explanation: Vertebroplasty is contraindicated in infectious conditions (Ex: Tuberculosis) In T.B laminectomy and laminotomy are done. In TB spine, laminectomy has a role in certain conditions like extradural extraosseous granuloma and subdural granuloma. Vertebroplasty prevents further collapse and kyphoplasty is correction of collapse of vertebra by using high pressures (it is not preferred now).